A young patient developed sudden painless loss of vision which recovers spontaneously over a period of 3 months. What is the most probable diagnosis?
1. Macular hole
2. Angle closure glaucoma
3. Retinal detachment
4. Central Serous retinopathy

Correct answer: 4. Central Serous retinopathy

Explanation: Central serous choroidopathy is a focal disease of the retinal pigment epithelium and choriocapillris. Clinical features: More common in young males , sudden onset Blurring of vision accompanied by a positive scotoma and metamorphopsia The visual acuity is correctable by the use of convex lenses - makes the eye more hyperopic The visual acuity returns to normal within 3-6 months in most cases but some subjective symptoms persist. Argon laser burns may be applied to coagulate the leak if the oedema has persisted for 3 months or longer. FFA showing classical smokestack leak in CSR.